All of the following statements about splenic artery are true except that it
1. Has a tortuous course
2. Is a branch of celiac trunk
3. Has branches that anastomose freely within the spleen
4. Supplies the greater curvature of stomach

Correct answer: 3. Has branches that anastomose freely within the spleen

Explanation: Has branches that anastomose freely within the spleen

Splenic artery is an end artery, and it is branches anastomose no further in spleen
It has a tortuous course, so as to allow for the movements of spleen during, respiration
It gives short gastric arteries&left gastro epiploic artery to the greater curvature of stomach